M/C uterine malformation associated with infertility
1. Bicornuate
2. Unicornuate
3. Septate
4. Didelphys

Correct answer: 3. Septate

Explanation: Septate uterus The two mullerian ducts are fused together but there is a persistance of septum in between the either two partially or completely Infertility and dyspareunia are often associated with vaginal septum D.C.DUTTA'S TEXTBOOK OF GYNAECOLOGY,Pg no:44,6th edition